Shoulder dystocia is seen in predominantly :
1. Transverse lie
2. Hand prolapse
3. Anencephaly
4. Cord around neck

Correct answer: 3. Anencephaly

Explanation: Ans. is c i.e. Anencephaly The term shoulder dystocia is used to define a wide range of difficulties encountered in the delivery of the shoulders. Risk factors : It occurs in all those conditions where fetus is too big or in cases of mismanaged labour viz. Fetal macrosomia * Maternal diabetes * Maternal obesity Post term pregnancy * Anencephaly * Fetal ascites H/o previous macrosomia * Midpelvic instrument delivery.